Test for detecting argemone oil Contamination does not include –
1. Nitric acid test
2. Paper chromatography test
3. Aldehyde test
4. None

Correct answer: 3. Aldehyde test